Fetichism is sex gratification by:
1. Dress like opposite sex
2. Using opposite sex objects
3. Suffering of the other person
4. Sexual intercourse by a human being with a lower animal

Correct answer: 2. Using opposite sex objects

Explanation: Ans: B (Using opposite sex objects ) "Transvestism or Eonism: A transvestste(trans=opposite, vesta=clothing) is a person whose whole personality is dominated is dominated by the desire to be identified with the opposite sex. His dress, manner, occupational interests & associations are all designed to increase his feeling of being a woman'- Reddy 27th/367FETICH ISM Reddy 27th/367It is almost exclusively seen in maleA fetish is an abnormal stimulus or object of sexual desire e.g underclothing, brassiere, petticoat, stocking, shoes etcFetichism means the use of such objects for sexual gratificationSexual perversionMode of sexual pleasure Sadism Infliction of pain to sexual partner Necrophilia Sexual intercourse on the dying or dead victim Necrophagia The sadist may damage genitals or other organs & eat flesh or drink blood to satisfy the sexual desire Masochism Only on receiving painful stimulus'3 from sexual partner Sexual asphyxia (autoerotic hanging)3 is seenAutoerotic deaths'3 may occur Bondage Sadism & masochism are found together with one type dominant over the other Fetichism1' Sexual gratification is associated with contact & sight of central parts of female body or even clothings or other objects k/a fetish object1 Exhibitonism'3 exhibition of genitals'3 with or without performance of masturbatory act in public palce. Transvestism or Eonism Desire to be identified with the opposite sex Person finds sexual pleasure in wearing clothes of opposite sex3 Uranism Sexual gratification by fingering foding, fellatio, cunnilingus'3 etc Buccal coitus or Sin of Gomorrah Fellatio is oral stinulatio of penis by male or female Cunnilingus is oral stimulation of female genitals Voyeurism or Scotophilia Desire to watch sexual intercourse or to observe genitals of others.13 Trolism extreme degree of voyeurism. A perverted husband is stimulated by watching his wife having sexual intercourse with another man Frotteurism Sexual gratification by rubbing genitalia against another person Uraianjpa or Coprophilia Sexual excitement is provoked by sight or odour of urine or faces. Tribvadism or Lesbianism or Female homosexuality Gratification of sexual desire of a women by another women Sodomy or Buggery*Gerantophilia*paederasty Anal sex*When passive agent is adult*When the passive agent is young boy, the boy being known as catamite13 Insest Beastiality Sexual intercourse with close relative Sexual intercourse by a human being with a lower animal.